A farmer presented in OPD clinic with sweating, lacrimation, pin-point pupils. Possible poisoning with:
1. Dhatura poisoning
2. Organophosphate poisoning
3. Atropine poisoning
4. Cocaine poisoning

Correct answer: 2. Organophosphate poisoning

Explanation: Ans. (b) Organophosphate poisoningRef Katzung Pharamacology 10th ed. Ch 7* In organophosphate poisoning, the organophosphate cholinesterase inhibitors are well absorbed from the skin, lung, gut, and conjunctiva--thereby making them dangerous to humans and highly effective as insecticides.* These organophosphates irreversibly block acetylcholine esterase enzyme, thereby increasing the acetylcholine level.* The patient therefore will present with cholinergic symptoms: (Mn: SLUDGE)* Salivation, Lacrimation, increased urination, Diarreha, GI distress, Emesis* DOC for this poisoning: ATROPINEAlso Know* OXIMES (Pralidoximes, Di-Acetyl monoxime) are known as AchE enzyme reactivators. These are used only in organophosphate poisoning.Pin-point pupil is seen in poisoning with: (Mn: POMP)* Pontine hemorrhage, Organophosphate, Morphine and Phenol poisoning